Privation of any member of joint is
1. Simple injury
2. Grievous injury
3. Serious injury
4. Dangerous injury

Correct answer: 2. Grievous injury

Explanation: Grievous hurt (sec 320 IPC) According to this section, any of the following injuries are grievous injuries: Emasculation Permanent privation of sight of either eye Permanent privation of hearing of either ear Privation of any member or joint Permanent impairing of power of any member or joint Permanent disfiguration of head or face. Fracture or dislocation of bone or tooth Any hurt which endangers life , or which causes the victim to be in severe bodily or unable to follow his ordinary pursuits for a period of 20 days Ref: FORENSIC MEDICINE AND TOXICOLOGY DR PC IGNATIUS THIRD EDITION PAGE 218